Which of the following impression material is shows least setting time:
1. Polysulphide.
2. Condensation silicone.
3. Addition silicone.
4. Polyether

Correct answer: 3. Addition silicone.